True about inferior vena cava - 
a) Passes through diaphragm at level of D10 vertebra
b) Rt. Suprarenal artery directly drains to it.
c) It lies anterior to the renal vein.
d) It forms the posterior wall of the epiploic foramen
e) It is related to psoas muscle
1. abc
2. bce
3. de
4. d only

Correct answer: 3. de

Explanation: Inferior vena cava passes diaphragm at the level of T8.
Inferior vena cava does not receive blood from an artery.
Epiploic foramen lies anterior to the inferior vena cava.